After the tooth emerges to the occlusal plane the clinical
crown height increases by:
1. Passive eruption
2. Active eruption
3. Post-emergence growth spurt
4. Juvenile occlusal equilibrium

Correct answer: 1. Passive eruption